RNA is present in
1. Cytoplasm
2. Nucleus
3. Ribosome
4. All of the above

Correct answer: 4. All of the above

Explanation: Ribonucleic acid, also known as RNA, is found almost exclusively in the cytoplasm of cells, although at times it can be created in the nucleus of the cell. Ref-Harpers illustrated biochemistry 30/e p583